Dumping syndrome is due to all except:
1. Motilin
2. Small stomach
3. Hypertonic fluid contents in bowel
4. Neurotensin

Correct answer: 2. Small stomach

Explanation: Dumping syndrome Signs and symptoms arise from the rapid emptying of hyperosmolar gastric contents into the small intestine, resulting in a fluid shift into the gut lumen with plasma volume contraction and acute intestinal distention. Release of vasoactive GI hormones -vasoactive intestinal polypeptide, neurotensin, motilin play a role in early dumping. Early dumping takes place 15-30 minutes after meals and consists of crampy abdominal discomfort, nausea, diarrhea, belching, tachycardia, palpitations, diaphoresis, lightheadedness, and, rarely, syncope.